Treatment of choice for Pars planitis (Intermediateuveitis) -
1. Pilocarpine
2. Corticosteroid
3. b-blocker
4. NSAIDs

Correct answer: 2. Corticosteroid

Explanation: Ans. is 'b' i.e., Corticosteroids Drugs used in acute anterior uveitis (iridocyclitis)o Topical steroids (Drugs of choice)o Mydriatic - cycloplegics: Atropine (Drug of 2nd choice), Homatropine, cyclopentolate, tropicamide, mydricain (mixture of atropine, adrenaline & procaine)o Systemic steroidso NS AIDso Systemic immunosuppressives cyclosporine, methotrexate, cyclophosphamide Intermediate uveitiso Systemic steroids are the drug of choicePosterior uveitis (choroiditis)o Systemic steroids are the drug of choice